True about thermal burn injury:
1. Zone of stasis is the innermost layer
2. Zone of hyperaemia is the middle layer
3. Zone of coagulation is the outermost layer
4. Zone of stasis is associated with vascular damage

Correct answer: 4. Zone of stasis is associated with vascular damage

Explanation: Ans is D (Zone of stasis is associated with vascular damage) Pathophysiology of Burns Burn causes coagulative necrosis of the epidermis and underlying tissues, with the depth depending on the temperature to which the skin is exposed and the duration of exposure. The area of cutaneous injury has been divided into three zones: zone of coagulation, zone of stasis, and zone of hyperemia Zone of coagulation: The volume injured most severely, in the center of the wound, is the zone of coagulation. This is the area of necrosis where the cells have been disrupted. The tissue is irreversibly damaged at the time of injury. Zone of stasis: Outside the zone of coagulation is the zone of stasis. The zone of stasis is ischemic but potentially salvageable. Depending on the wound environment, can either survive or progress to coagulative necrosis. The zone of stasis is associated with vascular damage and vessel leakage.. Zone of hyperaemia: Beyond the zone of stasis lies the zone of hyperaemia This area is characterized by minimal cell injury but with vasodilatation due to neighboring inflammation-induced mediators. This region contains clearly viable tissue from which the healing process begins and is generally not at risk for further necrosis. In practice, attentive wound care and careful fluid resuscitation may salvage the zone of stasis and prevent a superficial injury from becoming full thickness